Brodmann's area number for somatosensory area
1. 4 & 6
2. 3, 1, 2
3. 5 & 7
4. 16 & 18

Correct answer: 2. 3, 1, 2

Explanation: The cerebral hemisphere is divided into several areas, called Brodmann Areas. Each cerebral hemisphere contains a total of '47' such areas. The area between central sulcus and postcentral sulcus is called postcentral gyrus; the sensory area of the brain (area 3, 1, 2).(Ref: Textbook of physiology, Dir. Prof. AK Jain, 5th edition)